The mutation in cystic fibrosis is on which chromosome ?
1. 7p
2. 7q
3. 5p
4. 5q

Correct answer: 2. 7q

Explanation: Ans. is 'b' i.e., 7q Cystic fibrosis Cystic fibrosis is an inherited disease of the mucus and sweat glands. Cystic fibrosis follows on autosomal recessive transmission. There is a defect in ion transport of epithelial cells that affects fluid secretion in i) Exocrine glands (pancreas) ii) Epithelial lining of respiratory, gastrointestinal and reproductive tract.